Which of the following is bone forming malignant tumour?
1. Osteoid osteoma
2. Osteosarcoma
3. Chondrosarcoma
4. Giant cell tumour

Correct answer: 2. Osteosarcoma

Explanation: Ans. is 'b' i.e., Osteosarcoma o Bone-forming tumours are a sub-set of bone tumours that are characterised by their propensity to form excess osteoid. They can be further subdivided into benign and malignant tumours.Benign tumours# Osteoid osteoma# Osteoblastoma# Bone island (enostosis)# Osteopoikilosis# OsteomaMalignant tumourso Malignant bone-forming tumours are all osteosarcomas.# Osteosarcoma (conventional)# Telangiectatic osteosarcoma# Low-grade central osteosarcoma